Cattle track appearance is seen in:
1. Central retinal vein occlusion
2. Central retinal artery occlusion
3. Central serous retinopathy
4. Diabetic retinopathy

Correct answer: 2. Central retinal artery occlusion

Explanation: Cattle truck appearance is seen in central retinal artery occlussion. Occurs due to stagnation of blood flow within an arteriole - giving rise to clumping of the blood column within the lumen M/C/C Embolism (Hollenhorst Plaque)